All of the following are true regarding warthins tumor except:-
1. More common in females
2. Commonly involve the parotid glands
3. They arise from the epithelial and the lymphoid cells.
4. 10% are bilateral

Correct answer: 1. More common in females

Explanation: Ans. is 'a' i.e. more common in females .Warthin's tumorIs the second most common benign tumor of the parotid gland (1st is pleomorphic adenoma).It consists of both epithelial and lymphoid elements thus known as adenolymphoma (probably arises from remnants of parotid tissue trapped in lymphnodes within the parotid gland).Also known as papillary cystadenoma lymphomatosumThe tumor arises only in the parotid gland.Almost always arises in the lower portion of the parotid gland overlying the angle of mandible.Common in males. (Occurs most often in older white men)Age : 5th to 7th decade.Association is seen with smoking.Bilaterality is seen in 10% cases.Its welI encapsulated, extremely slow growing tumor, never turns malignant.A peculiar feature of Warthin's tumor is that it shows 'hot' spot in 99m Tc-pertechnetate scan. Other tumors of the parotid show 'cold' spot (Oncocytoma another benign parotid tumor also shows hot spot). (Because of the high mitochondrial content within Oncocytes, the oncocyte-rich Warthin tumor and Oncocytoma incorporate technetium Tc 99m and appear as hot spots on radionuclide scans.)